A man using nasal drops continuously for a long period of time. What can be the possible adverse effect?
1. Mulberry turbinate
2. Rhinitis Medicamentosa
3. Vasomotor rhinitis
4. Allergic rhinitis

Correct answer: 2. Rhinitis Medicamentosa

Explanation: “Excessive use of nasal drops and sprays should be avoided because it may lead to rhinitis medicamentosa.
It is treated by withdrawal of nasal drops, short course of systemic steroid therapy and in some cases, surgical reduction of turbinates, if they have become hypertrophied”